Episcleritis periodica refers to:
1. Fleeting type of episclerities
2. Complicated episcleis
3. Intermediate stage between episcleritis and scleritis
4. None of the above

Correct answer: 1. Fleeting type of episclerities

Explanation: Ans. Fleeting type of episclerities